All of the following are Isoprene derivates (Polyprenoids), except ?
1. Ubiquitin
2. Dolichol
3. b-carotene
4. a-tocopherol

Correct answer: 1. Ubiquitin

Explanation: Polyprenoids are a class of compounds synthesized from 5 carbon isoprene units. They include: Ubiquinone - electron carrier in respiratory chain Dolichol - long-chain alcohol involved in N-glycosylation Plant-derived Polyprenoids - rubber, camphor, the fat-soluble vitamins A, D, E, and K, and b-carotene (provitamin A). Ubiquitin is not a part of polyprenoids. It is a protein (polypeptide).